Excessive sexual desire in males is known as -
1. Nymphomania
2. Satyriasis
3. Triabadism
4. Sadism

Correct answer: 2. Satyriasis

Explanation: Morbid, insatiable sexual need or desire in a man is called satyriasis, and in a woman is called nymphomania.